Trends can be represented by -
1. Line diagram
2. Bar diagram
3. Scatter diagram
4. None

Correct answer: 1. Line diagram

Explanation: Ans. is 'a' i.e., Line diagramLine diagram 1 Line chart/Line graph)o It is used to show the trend of events with passage of time and shows how the frequency of a particular event or variable vary over time. DataMethodFrequency of occurrence (comparisons of magnitude)Bar ChartPie chartTrends over timeLine graphDistribution (not related to time)Histogram,Frequency polygonAssociation (Looking for correlation between two variables)Scatter diagram